Cicatrial Alopecia is seen in:
1. Tenia Capitis
2. Psoriasis
3. DLE
4. Alopecia Aereta

Correct answer: 3. DLE

Explanation: C. i.e. DLE